In Potters syndrome - primary pathology is:
1. Oligohydramnios
2. Renal agenesis
3. Dysmorphism
4. Limb defects

Correct answer: 2. Renal agenesis

Explanation: b. Renal agenesis(Ref: Nelson 20/e 2513)Components of oligohydramnios complex (Potter syndrome), including low-set ears, micrognathia, flattened nose, limb positioning defects, intrauterine growth restriction & death may result from pulmonary hypoplasia.Bilateral renal agenesis is incompatible with extrauterine life & produces the Potter syndrome.